According to caries risk assessment which tooth has lowest risk?
1. Maxillary 1st premolar
2. Maxillary 2nd premolar
3. Mandibular 1st premolar
4. Mandibular 2nd premolar

Correct answer: 3. Mandibular 1st premolar

Explanation: Caries risk assessment